True regarding Denosumab
1. Strong antiresorptive action
2. Binds RANKL & prevents its binding to receptor RANK
3. Atypical femoral fracture as one of the adverse effects
4. All of the above

Correct answer: 4. All of the above

Explanation: Denosumab, an antibody that blocks the RANK ligand (RANKL) and dramatically reduces osteoclast number and function, is approved for therapy of osteoporosis. It also appears to be an effective treatment to reverse hypercalcemia of malignancy. Jaw necrosis, atypical femoral fracture, skin infections , occasional severe hypocalcemia are the side effects. Ref Harrison 20th edi page no 2956